Pimozide belongs to class of:
1. Thiothixanthene
2. Phenothiazine
3. Butyrophenone
4. Diphenyl butyl piperidine

Correct answer: 4. Diphenyl butyl piperidine

Explanation: Thioxanthenes are flupenthioxol. Butyrophenones are haloperidol, trifluperidol , penfluridol. Phenothiazines are Chlorpromazine, triflupromazine , thioridazine, flufenazine. Promazine belongs to the group of other of other hetero cyclics that is diphenyl butyl piperidine. Ref: KD Tripathi 8th ed.